NREM Sleep true is ?
1. Teeth grinding
2. Narcolepsy
3. Nightmares
4. Sleep paralysis

Correct answer: 1. Teeth grinding

Explanation: Ans. A. Teeth grindingSlow wave sleep (stage 3 & 4 of NREM sleep) disorders r Sleep walking (somnambulism), night terror (sleep terror or pavornocturnus), Nocturnal enuresis, Bruxism (teeth grinning), and sleep talking (somniloquy).REM sleep events/disorder:- Nightmares, nocturnal penile tumescence, Narcolepsy.